Angle at gingival bevel in class II inlay cavity
1. 30°
2. 10°
3. 5°
4. 50°

Correct answer: 1. 30°